Second intermediate host of Dichyllobothrium latum is -
1. Cycolps
2. Man
3. Snail
4. Fresh water fish

Correct answer: 4. Fresh water fish

Explanation: Ans. is 'd' i.e., Fresh water fish